The following is a feature of Korsakoff's psychosis:-
1. Confabulation
2. Encephalopathy
3. Ophthalmoplegia
4. Hallucination

Correct answer: 1. Confabulation

Explanation: Korsakoff's syndrome - 1 amnesia - anterograde amnesia is common especially a profound impairment of recent memory. The patient can recall events immediately after they have occurred, but cannot do so even a few minutes afterwards. Gaps in memory are often filled by confabulation. 2 confabulation - false story/ honest lying because patient cannot recall event that occur sometime Before Wernicke's encephalopathy is completely reversible with treatment, only about 20 percent of patients with Korsakoff's syndrome recover. The pathophysiological connection between the two syndromes is thiamine deficiency, caused either by poor nutritional habits or by malabsorption problems